Most common retrobulbar mass in adult is?
1. Neurofibroma
2. Meningioma
3. Cavernous hemangioma
4. Schwannoma

Correct answer: 3. Cavernous hemangioma

Explanation: Ans. is 'c' i.e., Cavernous hemangioma "Cavernous hemangioma are the most common retro-orbital tumor in adults (found mainly during the second to fourth decades of life)" -- Clinical ophthalmology Most common intraocular tumor in adults is metastasis.Metastasis is particularly common from carcinoma of breast and lung. Most common primary intraocular tumor in adults is uveal melanoma. Most of the uveal malignant melanoma arise in choroid. Most common primary intraocular tumor is children is retinoblastoma Most common orbital tumors in adults are benign vascular tumors - Cavernous hamangioma. o Most common malignant orbital tumor in adult lymphoma Most common orbital tumors in children are benign tumors Dermoid cyst < capillary hemangioma Most common malignant orbital tumor in children rhabdomyosarcoma Overall most common primary malignant tumor of eye is malignant melanoma followed by retinoblastoma o Most common malignant eyelid tumor --) Basal cell carcinoma Most common epithelial tumor of lacrimal gland - Pleomorphic adenoma (benign mixed tumor) Overall most common tumor of lacrimal gland - Lymphoid tumour and inflammatory pseudo - tumors Most common malignant tumor of conjunctiva & cornea-4 Squamous cell carcinoma.